Which type of diabetes has impaired glucose induced secretion of insulin with preserved b cell mass?
1. MODY
2. Wolfram syndrome
3. Type 1 diabetes
4. Latent autoimmune diabetes in adults

Correct answer: 1. MODY

Explanation: Type 1 diabetes has insulinopenia due to reduced b cell mass. Latent autoimmune diabetes in adults is a variant of type 1 diabetes mellitus. MODY has impaired glucose induced insulin release due to autosomal dominant pattern of inheritance. The beta cell mass is normal. It involves mutations in nuclear transcription factor that regulates islet gene expression. Wolfram syndrome is an autosomal recessive condition neurodegenerative disorder leading to diabetes mellitus, diabetes insipidus, optic atrophy and deafness. MODY is associated with Young age Non-insulin dependent diabetes Positive family history in 2 successive generations